Coronary steal phenomenon is caused by which drug ?
1. Disopyramide
2. Verapamil
3. Nitroglycerine
4. Dipyridamol

Correct answer: 4. Dipyridamol